Most common cause of chronic pancreatitis
1. Gall stones
2. Tropical pancreatitics
3. Pancreas divisium
4. Alcohol

Correct answer: 4. Alcohol

Explanation: .high alcohol consumption is the most frequent cause of chronic pancreatitis accounting for 60 to 70 percent of cases but only 5 to 10 percent of people with alcoholism develop chronic pancreatitis. Bailey and Love 26 th ed:pg 1134